Rash of chickenpox can be differentiated from the rash of small pox by all except ?
1. Pleomorphic
2. Centripetal
3. Deep-seated
4. Unilocular

Correct answer: 3. Deep-seated

Explanation: Ans. is 'c' i.e., Deep-seated o Rash of chickenpox is superficial (not deep seated).